Commonest site of Hypertensive intracerebral bleed is?
1. Pons
2. Putamen
3. Frontal lobe
4. Thalamus

Correct answer: 2. Putamen

Explanation: Ans. (b) PutamenRef: Harrison's Internal Medicine, 17thed ch-364, Cerebrovascular Disease table 364-5